In the event of intervertebral disk herniation in the cervical region, which of the following ligaments is in an anatomic position to protect the spinal cord from direct compression?
1. Supraspinous
2. Posterior longitudinal
3. Anterior longitudinal
4. Ligamentum flavum

Correct answer: 2. Posterior longitudinal

Explanation: The posterior longitudinal ligament is the only ligament spanning the posterior aspect of the vertebral bodies and intervertebral disks. With intervertebral disk herniation, the nucleus pulposus of the intervertebral disk protrudes posterolaterally. The anterior longitudinal ligament traverses the anterior side of the vertebral bodies and thus would not protect the spinal cord from direct compression. The supraspinous and ligamentum flavum ligaments connect the spinous processes and the laminae of adjacent vertebrae, respectively. The nuchal ligament is a continuation of the supraspinous ligaments near the C7 vertebrae and runs to the occipital protuberance.